Uterus develops from:
1. Mullerian duct
2. Mesonephric duct
3. Metanephros
4. Urogenital sinus

Correct answer: 1. Mullerian duct

Explanation: Ans: a (Mullerian duct) Ref: Human embryology, IB Singh, 4th ed, p. 2 74In females, the paramesonephric duct (Mullerian duct) gives origin to the uterine tubes, uterus and part of the vagina.The paramesonephric duct lies parallel to the mesonephric duct in the cranial part, but fuse in the midline caudally to form the uterovaginal canal. The caudal end comes into contact with the dorsal wall of the urogenital sinus. The paramesonephric duct gives rise to the uterine tubes, uterus and the upper 4/5th of the vagina.DERIVATIVES OF THE PARAMESONEPHRIC DUCT(MULLERIAN DUCT)DERIVATIVES OF THE MESONEPHRIC DUCT(GARTNER/WOLFFIAN DUCT)Cranial: Fallopian tubeCaudal:* Uterus* Cervix* Vagina (upper 4/5th)Hydatid of MorgagniAppendix of testisProstatic UtricleCommon to males/females:* Uretric bud* Trigone of bladder* Posteror urethraIn Males:* Epididymis* Vas deferens* Seminal vesicle* Ejaculatory ductRemnants:* P- Paradidymis* E- Epigastral tubercle* A- Appendix of epididymisIn females:* Broad ligament* Paraovarian cyst* Gartner's duct and cyst* Epoophoron* Paraoophoron